Quantity of water available per capita considered adequate to meet the needs of all urban domestic purposes?
1. 100-150 L
2. 150-200 L
3. 200-250 L
4. 250-300 L

Correct answer: 2. 150-200 L

Explanation: 2 L is the amount of water required for meeting the physiological requirements of the body everyday. But water is also required for many other activities of daily life such as cooking, washing, bathing etc. Taking this into consideration, 150-200 L of water per capita is the amount considered adequate to meet the needs of all urban domestic purposes. Ref: Park's Textbook of Preventive and Social Medicine, 20th edition, p617